Barret's esophagus is diagnosed by:
1. Squamous metaplasia
2. Intestinal metaplasia
3. Squamous dysplasia
4. Intestinal dysplasia

Correct answer: 2. Intestinal metaplasia

Explanation: Answer is B (Intestinal Metaplasia) Barret's esophagus is a metaplasia of the esophageal mucosa caused by replacement of squamous epithelium with columnar epithelium. Specialized intestinal epitheliutn (intestinal metaplasia) is the most common and most important type of columnar epithelium seen in Barret's esophagus.